Better levels of factor VIII are achieved by infusion of:
1. Cryoprecipitate
2. Desmopressin
3. Fresh frozen plasma
4. Fresh blood

Correct answer: 1. Cryoprecipitate

Explanation: Cryoprecipitate has a higher concentration of Factor VII (80 IU in 15 ml of plasma) compared to FFP (200 IU in 200 ml). Thus, cyroprecipitate has a higher concentration on Factor VIII.